+ve pathergy test is seen in
1. Sarcoidosis
2. Histoplasmosis
3. Candidiasis
4. Behcet's disease

Correct answer: 4. Behcet's disease